Not true about deep cervical lymph nodes ?
1. Lie along external jugular vein
2. Tonsil is drained by jugulodigastric nodes
3. Lie deep to sternocleidomastoid
4. Tongue drains into juguloomohyoid nodes

Correct answer: 1. Lie along external jugular vein

Explanation: Ans. is 'a' i.e., Lie along external jugular veinDeep cervical nodes lie along internal jugular vein (not external jugular vein).Deep cervical lymph nodes These are a vertical chain of lymph nodes. All lymph nodes draining the superficial and deep tissues of head and neck finally drain into deep cervical group of lymph nodes. These nodes lie deep to sternocleidomastoid. These are divided into two groups :?Upper deep cervical (jugulodigastric) nodes :- These lie along upper part of internal jugular vein in a triangular area bounded by IJV, common facial vein and posterior belly of digastric muscle. These nodes receive lymphatics from the palatine tonsil, and posteriori and posterior most part of tongue.Lower deep cervical (jugular-omohyoid) nodes :- These nodes lie along lower part of internal jugular vein at superior belly of omohyoid. These are mainly concerned with lymphatic drainage of tongue. Some members of lower deep cervical nodes extends laterally into supraclavicular triangle and are known as supraclavicular lymph nodes. One or two lymph nodes lie in front of scalenus anterior and are called scalene lymph nodes.